Tumor suppressor genes BRCA1 and BRCA1 prevent tumorigenesis by acting as
1. Inhibitors of mitogenic signaling pathways
2. Inhibitors of ceil cycle progression
3. Inhibitors of Invasion and Metastasis
4. DNA repair factors

Correct answer: 4. DNA repair factors

Explanation: Answer: d) DNA repair factors (ROBBINS 9th ED, P-291)Tumor suppressor geneFamilial syndromesSporadic cancers Inhibitors of mitogenic signaling pothwaysAPCFamilial colonic polyps and carcinomasCarcinomas of stomach, colon, pancreas melanomaNF1Neurofibromatosis type 1Neuroblastomas juvenile myeloid leukemiaNF2Neurofibromatosis type 2 (Acoustic schwannomas, Meningiomas)Schwannomas MeningiomasPTCH (Patched)Gorlin syndrome (basal cell carcinoma, medulloblastoma)Basal cell carcinoma MedulloblastomaPTEN (Phosphatase and tensin)Cowden syndromeMany carcinomas and lymphoid tumorsSMAD2, SMAD4Juvenile polyposis syndromeColon and pancreatic cancerInhibitors of cell cycle progressionRBFamilial Retinoblastoma syndromeRetinoblastoma, Osteosarcoma Ca of breast, colon, lungCDKN2AFamilial melanomaPancreatic, breast, and esophageal carcinoma, melanoma Inhibitors of "Pro-growth" Programs of Metabolism and AngiogenesisVHLVHL syndromeRenal cell carcinomaSTK11Peutz-Jeghers syndromeVariety of cancersSDHB, SDHDFamilial paraganglioma Familial pheochromocytomaParagangliomaInhibitors of Invasion and MetastasisCDH1 (E-cadherin)Familial gastric cancerGastric cancer, Lobular breast cancerEnablers of Genomic StabilityTP53 (p53)Li-Fraumeni syndromeMost human cancers DNA Repair Factors BRCA1Familial breast and ovarian carcinoma; carcinomas of male breast; (but lower than BRCA2), Cancers of prostate, pancreas, fallopian tubeRareBRCA2Familial breast and ovarian carcinoma chronic lymphocytic leukemia male breast cancer, cancer of prostate, pancreas, stomach, gallbladder, bile duct, pharynx, melanoma,RareMSH2, MLH1, MSH6HNPCCColon and endometrial cancer Unknown mechanisms WT1Wilm's tumorWilm's tumorMEN 1Multiple endocrine neoplasia 1Pituitary, pancreatic, parathyroid tumors